A patient presents with upper abdominal pain and vomiting. His pulse is 110/min and BP is 70/40 mm Hg. A diagnosis, of pancreatitis is made. What is the next appropriate management?
1. Immediate IV fluids
2. Removal of necrosed pancreatic tissues
3. Start enteral nutrition first
4. IV antibiotics

Correct answer: 1. Immediate IV fluids

Explanation: Ans. (a) Immediate IV fluidsRef: Sabiston Textbook of surgery, 20th ed; pg. 1525-1530.* Key step in management of Acute Pancreatitis is - IV fluids.